Disease under natural conditions transmitted from vertebrate animals to man is:
1. Zoonoses
2. Exotic
3. Epizoonotic
4. Amphixenotic

Correct answer: 1. Zoonoses

Explanation: Ans: a (Zoonoses) Ref: Park, 19th ed, p. 88An infection or infectious disease transmissible under natural conditions from vertebrate animals to man is called a "Zoonoses", e.g., Rabies, plague, cysticercosis (Taenia solium), anthrax, brucellosis, salmonellosis, KFD, Lassa fever.The term "Zoonosis" has been further amplified as follows:AnthropozoonosesInfections transmitted to man from vertebrate animals, e.g., rabies, plague, anthrax, hydatid disease.ZooanthroponosesInfections transmitted from man to vertebrate animals e.g., human tuberculosis in cattle.AmphixenosisInfections maintained in both man and lower vertebrate animals that may be transmitted in either direction e.g., T. cruzi and S. japonicum.About other options:Exotic--Diseases which are imported into a country in which they do not occur otherwise e.g. rabies in UK, epidemic polyarthritis in visitors of Fizi, due to Ross River virus.Epizootic--an outbreak (epidemic) of disease in an animal population often with an implication that it may also affect human populations. Examples include anthrax, brucellosis, rabies, influenza. Rift valley fever, Q fever, Japanese encephalitis, equine encephalitis. The study of epizootic disease is known as epizootiology.